Green shrinkage occurs in
1. Gypsum investment
2. Ethylsilicate bonded investment
3. Phosphate bonded investment
4. Anhydrate of gypsum bonded investment

Correct answer: 2. Ethylsilicate bonded investment